Type of pericarditis in tuberculosisa) Hemorrhagicb) Constrictivec)  Fibrinousd)  Serofibrinous
1. ac
2. ab
3. ad
4. bc

Correct answer: 2. ab

Explanation: Causes of hemorrhagic pericarditis

Tuberculosis
Malignant involvement of pericardial sac
Bleeding diathesis
Cardiac surgery
Post myocardial infarction
Dissecting aneurysm of aorta
Uremic pericarditis